What will the estimated Pa02 after giving Fi02 at 0.5 in a normal person?
1. > 50 mmHg
2. > 100 mmHg
3. > 150 mmHg
4. > 200 mmHg

Correct answer: 4. > 200 mmHg

Explanation: Answer- D. > 200 mmHgln normal person, the measured PA O2 should equal to 5 x FiO2 . For example, a patient breathing 40% O (FiO2 of 0.4) should have a PaO2 5 x 40 = 200 mmHg. A PA O2 less than 4 to 5 times the FiO2 suggest poor lung function or hypoventilation.